All are true about carcinoma penis except
1. Most common type is verrocous
2. Spreads by blood borne metastasis
3. Leads to erosion of artery
4. Slowly progressive

Correct answer: 1. Most common type is verrocous

Explanation: About Ca Penis Most common histological type is - sq. cell Ca (98%) Erythroplasia of Queret is precancerous condition. It's the in-situ form of Ca Penis. Premalignant lesions of Ca Penis Penile cutaneous horn Balanitis xerotica obliterans Leukoplakia Viral (Human papilloma virus) related Dermatologic lesion Condyloma acuminata (also k/a genital warts) Bowenoid papulosis The one etiological factor most commonly associated with penile carcinoma is poor hygiene. Clinical features Age - Penile Ca occurs most commonly in the sixth decade of life, but its presentation in younger age group is not uncommon ("40% of pts are under 40 years of age" - Bailey) Most common complaint at presentation is the lesion itself. Pain is rare. Most common site of involvement (% from Cambell's Urology 8/e, p 29.53) Glans - ~48% Prepuce - ~21% Both Glans & Prepuce - 9% Coronal sulcus - ~6% Shaft - ~2% Lymph node involvement More than 50% of patients present with enlarged inguinal lymph nodes (but half of these are reactive enlargement d/t sepsis). The presence and the extent of metastasis to the inguinal region is the most important prognostic factor for survival in patients with Ca Penis. Distant metastasis is infrequent Diagnosis is made by biopsy of lesion.